Typical change in problem behavior shows how many stages ?
1. 2
2. 3
3. 4
4. 5

Correct answer: 4. 5

Explanation: Ans. is'd'i.e., 5Ref: www.uri.edu.comlFive stages of change for problem behaviourPrecontemplation :- Individuals .are unaware of their problem.Contemplation :- Individuals :ue aware about problem and seriously thinking about overcoming it but have not yet made acommitment. Person is weighing benefits and costs of behaviour, proposed change.Preparation :- Individuals are intending to take action and have unsuccessfully taken action in the past year.Action:- Individuals modify their behaviour, experiences and environment to overcome their problem.Maintenance:- Individuals work to prevent relapse.